Life expectancy' acts as an indicator of all, EXCEPT:
1. Socio economic development
2. Positive health
3. Global health
4. Adverse environmental exposure

Correct answer: 4. Adverse environmental exposure

Explanation: Expectation of life: Life expectancy at birth is "the average number of years that will be lived by those born alive into a population if the current age-specific mortality rates persist". lt is estimated for both sexes separately. An increase in the expectation of life is regarded as an improvement in health status. Life expectancy is a good indicator of socioeconomic development in general. As an indicator of long-term survival, it can be considered as a positive health indicator. It has been adopted as a global health indicator. Child mortality rate: Apart from its correlation with inadequate Maternal and Child health services (MCH) services, it is also related to insufficient nutrition, low coverage by immunization and adverse environmental exposure and other exogenous agents. REMEMBER: Life expectancy at birth in India are as follows: Total population: 67.14 years Male: 66.08 years Female: 68.33 years Ref: Park's textbook of Preventive and Social Medicine, 21st edition, page-25